Which is a rich source of vitamin A -
1. Cod liver oil
2. Coriander
3. Egg
4. Milk

Correct answer: 1. Cod liver oil

Explanation: Ans. is 'a' i.e., Cod liver oil Retinol content of selected foodsRetinol equivalents (RE) (mcg/100 g)Halibut liver oil900,000Carrot1167Cod liver oil18,000Spinach607Liver, Ox16,500Amaranth515Butter825Green leaves300Margarine900Mango, ripe313Cheese650Papaya118Egg140Orange25Milk, Cow38Tomato84Fish40